Pletoric individual will have:
1. Large, square dental arches.
2. Narrow dental arches
3. Normal dental arches.
4. None of the above.

Correct answer: 1. Large, square dental arches.